Which of the following is NOT a complication of bronchiectasis -
1. Lung abscess
2. Lung cancer
3. Amyloidosis
4. Empyema

Correct answer: 2. Lung cancer